Intensity of sound is measured in:
1. Diopters
2. Daltons
3. Decibels
4. Pounds

Correct answer: 3. Decibels